The most common complication of an ovarian tumor is:
1. Torsion
2. Hemorrhage
3. Infection
4. Hyaline change

Correct answer: 1. Torsion

Explanation: Ans. is a, i.e. TorsionRef: Shaw 15th/ed, p382Complications of Ovarian tumor (TRIP):T Torsion* Most common complication* Seen in 12% cases* Most common in benign tumors* Most common tumor to undergo torsion is dermoid cyst. - Ref: Jeffcoate 7th/ed, p548R Rupture* Which can be traumatic or spontaneous.I Infection* Rare complication* Seen following acute salpingitis or during puerperium as a part of an ascending genital tract infection.P Pseudomyxoma peritonei* Peritoneal cavity is filled with coagulated mucinous material.In ovarian Tumors* Most common in mucinous cystadenoma and mucinous carcinoma.Also seen in: Mucocele of appendix.* Carcinoma of large intestine.* Appendix cancer overall is the M/C cause of pseudomyxoma peritonei.